Meibomian glands secrete which component of sweat?
1. Water (aqueous)
2. Mucin
3. Protein
4. Lipid

Correct answer: 4. Lipid

Explanation: Ans. is 'd' i.e., Lipid The major function of lacrimal apparatus is to secrete and drain the tear. Tear film consists of 3 layers :- Mucous or mucin layer (innermost):- Secreted by conjunctival goblet cells, crypts of Henle, glands of Manz. Aqueous layer (intermediate) :- This forms the bulk of the tear. It is secreted by main lacrimal and accessory lacrimal glands. Lipid layer (outermost) :- Secreted by the Meibomion Zeis, and Moll glands.